Features of hypothyroidism in infancy include the following except -
1. Premature closure of posterior fontanelle
2. Coarse facies
3. Umbilical hernia
4. Constipation

Correct answer: 1. Premature closure of posterior fontanelle

Explanation: There is delayed closure of posterior fontanelle.